The earliest markers of renal injury in lead poisoning is the:-
1. Elevated lead level in urine
2. Elevated free protoporphyrin in urine
3. Elevated b 2 microglobulin in urine
4. Elevated coproporphyrin in urine

Correct answer: 3. Elevated b 2 microglobulin in urine

Explanation: Elevated urinary levels of N-acetyl-3-D-glucosaminidase and b-2-microglobulin may serve as early markers of renal injury.